30 To -60 degree axis deviation indicates:
1. Left Axis Deviation
2. Right Axis Deviation
3. Extreme Right Axis Deviation
4. Normal Cardiac Axis

Correct answer: 1. Left Axis Deviation

Explanation: Answer is A (Left Axis Deviation): Deviation of the cardiac axis more negative than -30 (Between -30 to -90) indicates Left Axis Deviation.